Small muscles of hand are supplied by -
1. C4C5
2. C5 C6
3. C8T1
4. T1 T2

Correct answer: 3. C8T1

Explanation: Ans. is 'c' i.e., C8 T1Root valueGroup of muscle testedUpper limb C5C6C7C8T1Deltoid, Elbow flexors (biceps)Elbow flexor (biceps), wrist extensorsWrist flexors, finger extensors, elbowr extensorsFinger flexorsIntrinsic muscles of handLower limb L2L3L4L5S1Hip flexorsKnee extensorsAnkle dorsi flexorsToe (including great toe) extensors, hip abductorsAnkle plantar flexors